Subacute sclerosing panencephalitis is associated with -
1. Mumps
2. Measles
3. Exanthema subitum
4. Erythema infectiosum

Correct answer: 2. Measles

Explanation: Subacute sclerosing panencephalitis This is a rare, chronic, progressive and eventually fatal complication of measles, presumably a result of an inability of the nervous system to eradicate the virus. It occurs in children and adolescents, usually many years after the primary virus infection. There is generalised neurological deterioration and onset is insidious, with intellectual deterioration, apathy and clumsiness, followed by myoclonic jerks, rigidity and dementia. The CSF may show a mild lymphocytic pleocytosis and the EEG demonstrates characteristic periodic bursts of triphasic waves. Although there is persistent measles-specific IgG in serum and CSF, antiviral therapy is ineffective and death ensues within a few years. Ref Harrison 20th edition pg 1011